Isotope for thyroid scaning – a) I129b) I131c) Technetium99d)  Selenium
1. bc
2. c
3. ac
4. ad

Correct answer: 1. bc

Explanation: Isotopes used for thyroid scanning are 1234 131, and technetium - 99m pertechnate. 
Note - Some books have given II" also. But it is not used for thyroid scintigraphy.